The hippocampal formation is part of the______ lobe
1. Frontal
2. Insular
3. Limbic
4. Occipital

Correct answer: 3. Limbic

Explanation: The hippocampus is part of the limbic system and plays a role in memory consolidation. The hippocampus is one of the first regions damaged in Alzheimer's disease.